Most common congenital malformation seen in a diabetic pregnant woman amongst the following are:
1. Cardiac defect
2. Renal defect
3. Liver defect
4. Lung defect

Correct answer: 1. Cardiac defect

Explanation: Ans. is a, i.e. Cardiac defectRef. Williams Obs. 24/e, p 1128; Fernando Arias 2/e, p 289; COGDT 10/e, p 312; Sheila Balakrishnan, p 288,Cardiac anomalies are the most common single organ anomalies in case of diabetes. --Williams 21/e, p 1369This is supported by 24/e Williams which specifically mention, that cardiovascular anomalies are much common that CNS anomalies in babies of diabetic mothers (p 1128)Most common cardiac anomalies seen are:Ventricular septal defect QAtrial septal defect QTransposition of the great vessels QAortic coarctation Q